Vertically oval dilated pupil is seen in -
1. Acute primary angle closure glaucoma
2. Wernicke's korsakoff psychosis
3. Neurosyphilis
4. Paralysis of occulomotor nerve

Correct answer: 1. Acute primary angle closure glaucoma

Explanation: Ans. is 'a' i.e., Acute primary angle closure glaucoma o In acute primary angle closure glaucoma - Pupil is semidilated, vertically oval and fixed. It is non-reactive to both light and accommodation.